Thickened gastric folds are not seen in
1. Carcinoma stomach
2. Menetrier disease
3. Eosinophilic gastritis
4. Peptic ulcer disease

Correct answer: 4. Peptic ulcer disease